Alkalinization of urine is required for decreasing poisoning due to
1. Barbiturates
2. Amphitamines
3. Alcohol
4. Morphine

Correct answer: 1. Barbiturates

Explanation: For acidic drug poisoning like (barbiturates, salicylates and methotrexates) ,urinary alkinization agents are prescribed where as basic drug poisoning (morphine, amphetamine ,atropine etc) urinary acidification agents are prescribed. Refer Ltd 7/e p29